Which of the following is not true regarding glycolysis?
1. 4 ATPs are produced, 2 NADH are produced, 2 ATP consumed in aerobic glycolysis
2. Net gain of ATPs in aerobic glycolysis 7.
3. Each NADH will generate 2.5 ATPs
4. In anaerobic glycolysis, only 1 NADH is produced.

Correct answer: 4. In anaerobic glycolysis, only 1 NADH is produced.

Explanation: Anaerobic glycolysis doesn't generate NADH, instead it regenerates NAD+